How an electrical synapse is different from chemical synapse?
1. No cytoplasmic continuity between presynaptic and post synaptic neuron
2. Connexons are involved in electrical synapse
3. Direction of impulse in unidirectional
4. Electrical synapse has more latent period than chemical synapse

Correct answer: 2. Connexons are involved in electrical synapse

Explanation: At gap junctions connexous are present. It permits substances to pass between the cells without entering ECF.